Polka dot sign on CT is a feature of
1. Vertebral hemangioma
2. Eosinophilic granuloma
3. Osteosarcoma
4. Ewing's sarcoma

Correct answer: 1. Vertebral hemangioma

Explanation: Polka dot sign/ Corduroy/vertical striations – Vertebral hemangioma.